A patient on total parenteral nutrition for 20 days presents with weakness, vertigo and convulsions. Diagnosis is
1. Hypermagnesemia
2. Hypomagnesemia
3. Hypercalcemia
4. Hypocalcemia

Correct answer: 2. Hypomagnesemia

Explanation: Clinical features for complications of Parenteral Nutrition Hypomagnesemia Weakness, muscle cramps and tremors Marked neuromuscular and CNS hyperirritability with jerking and nystagmus Hyperkalemia Interferes with neuromuscular function to produce muscle weakness which may progress to flaccid paralysis and hypoventilation if respiratory muscles are involved Hypercalcemia Fatigue, depression,mental confusion, lethargy Anorexia, nausea, vomiting, constipation and polyuria Ref: Harrison's 19th edition Pgno :88-97